Which is best for plaque morphology in atherosclerosis?
1. CCTA
2. Echocardiography
3. ECG
4. Coronary angiography

Correct answer: 1. CCTA

Explanation: Ans. A. CCTA* Coronary lesions prone to rupture and subsequent development of MI have different morphology compared with stable plaques and can be evaluated by CCTA to identify vulnerable plaques before they lead to clinical events. Large plaque volume, low CT attenuation, napkin- ring sign and spotty calcification are all associated with a high risk of acute cardiovascular events in patients.* Coronary angiography is used to detect percentage of blockage in coronary artery.